In methyl alcohol poisoning there is CNS depression,cardiac depression and optic nerve atrophy.These effects are produced due to:
1. Formaldehyde and formic acid
2. Acetaldehyde
3. Pyridine
4. Acetic acid

Correct answer: 1. Formaldehyde and formic acid

Explanation: Methanol is metabolised to formic acid & formaldehyde ,which produces these kinds of symptoms. Ref: kKD Tripathi 8th ed.